A reluctant child forced to bring sugar from a shop spills half of it in the way. This is an example of:
1. Hysteria
2. Passive aggression
3. Disobedience
4. Active aggression

Correct answer: 2. Passive aggression

Explanation: Passive - aggressive behavior -Indirectly expressing the anger towards others.It is an immature defense mechanism. For example, a young boy was forced to bring a glass of water for the father, While bringing the water, the child accidentally tripped and dropped the glass. Here, the child was able to express his anger indirectly by dropping the glass. Other immature defense mechanism- Acting out - Acting on an unconscious desire without becoming aware of it Regression - Return to an earlier stage of development. Involved in neurosis Projective identification - Intolerable aspects of self are projected on to another person , that person is induced to play the projected part and two persons act in unison.